A case of gestational trophoblastic neoplasia is detected to have lung metastasis. She should be staged as:
1. Stage-I
2. Stage-II
3. Stage-III
4. Stage - IV

Correct answer: 3. Stage-III

Explanation: Ans. is c, i.e. Stage IIIRef. COGDT 10/e, p 893Staging of Gestational trophoblastic disease:Stage-I Disease confined to uterus.Stage-II Disease extending outside of the uterus but limited to the genital structures (adnexa, vagina, broad ligaments).Stage-III Disease extending to the lungs, with or without known genital tract involvement.Stage-IV Disease at other metastatic sites viz brain, liver, kidney or gastrointestinal tract.